Bouchard's nodes are seen in ?
1. Proximal IP joints
2. Distal IP joints
3. Sterno-clavicular joints
4. Knee joint

Correct answer: 1. Proximal IP joints

Explanation: Ans. is 'a' i.e., Proximal IP joints